Which of the following statements about miltefosine is True?
1. It is used only for visceral leishmaniasis
2. A 4 week course produces cure rate of around 65%
3. It is the oral drug for treatment of kala-azar
4. It is safe in pregnancy

Correct answer: 3. It is the oral drug for treatment of kala-azar

Explanation: MILTEFOSINE - It is the first oral drug for treatment of kala azar. - 4 weeks course can produce cure rates of more than 95 percent - It can be used for visceral as well as cutaneous leishmaniasis. - It has a very long half life. - Reversible derangements of LFT and KFT have been noted. - Miltefosine is teratogenic and is contraindicated in pregnancy. Female is advised to avoid pregnancy till 3 months after miltefosine course.